The MINIMUM recommended space for each factory worker is:
1. 200 cubic feet
2. 250 cubic feet
3. 500 cubic feet
4. 700 cubic feet

Correct answer: 3. 500 cubic feet

Explanation: The WHO/ ILO committee on Occupational health in 1953 recommends a minimum of 500 cubic feet per worker. Sufficient space is needed to prevent not only respiratory diseases but also to ensure a comfortable working environment. Ref: Park 21st edition page: 753.